The doctor who did surgery' on the wrong side of the patient is punishable under section -
1. S. 304A IPC
2. S.104 IPC
3. S.305A IPC
4. S.305 IPC

Correct answer: 1. S. 304A IPC

Explanation: Ans. is 'a' i.e., S. 304 A IPC Section 304 A IPCo Causing death by negligence: Whosoever causes the death of any person, by doing any rash or negligent act not amounting to culpable homicide shall be punished with imprisonment for a term which may extend to 2 years or with fine, or with both.o The doctor doing surgery on the wrong side of the patient is an example of gross inattention and recklessness shown by the doctor and is thus an example of criminal negligence.o Criminal negligence is punishable under S. 304 A IPC